Best agent tor premenstrual syndrome management:
1. Progesterone
2. Anxiolytics
3. SSRI
4. Vitamin E

Correct answer: 3. SSRI

Explanation: Ans.'c'SSRI